An enzyme that makes a double stranded DNA copy from a single stranded RNA template molecule is known as
1. DNA polymerase
2. RNA polymerase
3. Reverse transcriptase
4. Phosphokinase

Correct answer: 3. Reverse transcriptase

Explanation: Reverse transcriptase is an RNA dependent DNA polymerase that produces ds DNA from RNA template. It moves along the template in 3' → 5' direction, synthesizing DNA is 5' → 3' direction.
It is seen in retro viruses (e.g. HIV).